Molluscum cantagiosum is caused by -
1. Poxvirus
2. Picornavirus
3. Parvovirus
4. Flavivirus

Correct answer: 1. Poxvirus

Explanation: Ans. is 'a' i..e, Poxvirus DNA virusesPoxviridaeVariola, vaccinia, cowpox, monkeypox, tanapox, molluscum contagiosumHerpesviridaeHSV-1, HSV-2, varicella-zoster, EBV, CMV, HTLV-1, RK-virusAdenovirideAdenovirusParvoviridaeParvovirus, Adenosatellovirus, DensovirusPapovaviridaePapilloma \4rus (HPV), PolyomavirusHepadnaviridaeHepatitis-B virus RNA VirusesPicornaviridaePoliovirus, Coxsackievirus, Echovirus, Enterovirus, Rhinovirus, Hepatitis A virusCaliciviridaeNorwalk virus, Hepatitis E virusTogaviridaeRubella virus, Eastern equine encephalitis virus, Western equine encephalitis virusFlaviviridaeYellow fever virus, Dengue virus, St. Louis encephalitis virus, West nile virus, Hepatitis C virus, Hepatitis G virusCoronaviridaeCoronavirusesRhabdoviridaeRabies virus, Vesicular stomatitis virusFiloviridaeMarburg virus, Ebola virusParamyxoviridaeParainfluenza virus, Respiratory syncytial virus, Newcastle disease virus, Mumps virus, Rubeola (measles) virusOrthomyxoviridaeInfluenza virus